Insulin stimulates all except
1. Glycolysis
2. Lipolysis
3. Protein synthesis
4. Lipogenesis

Correct answer: 2. Lipolysis

Explanation: Glycolysis is stimulated by insulin. The activity of key glycolytic enzyme like glucokinase, phosphofructokinase and pyruvate kinase is increased.Insulin inhibits lipolysis in adipose tissue due to inhibition of hormone-sensitive lipase Protein synthesis is promoted and degradation is retardedLipogenesis is favoured by providing more acetyl CoA by pyruvate dehydrogenase reactionRef: DM Vasudevan, 7th edition, page no: 321